Most common cause of unilateral proptosis is -
1. Thyrotoxicosis
2. Retinoblastoma
3. Intraocular haemorrhage
4. Raised intracranial tension

Correct answer: 1. Thyrotoxicosis

Explanation: Most common cause of bilateral proptosis: In children : Neuroblastoma and leukemia (chloroma). In adults : Thyroid ophthalmopathy. Most common cause of unilateral proptosis: In children : Orbital cellulitis. In adults : Thyroid ophthalmopathy. Ref: A. K. Khurana 6thE pg404